Which of the following factors are activated by vitamin K
1. Factor II
2. Protein C
3. Protein S
4. All of the above

Correct answer: 4. All of the above

Explanation: Vitamin K activates clotting factors like factor II, VII, IX and X. It also activates anti - clotting proteins like Protein C & Protein S.